Regarding sulpha group of drugs all the below statements are true, except:
1. Sulfonamide may cause Kernicterus in newborn
2. Sulfonamides are used in Norcardia infections
3. Crystalluria can occur with sulfonamide
4. Sulfasalazine is absorbed well from GIT

Correct answer: 4. Sulfasalazine is absorbed well from GIT

Explanation: Sulfasalazine is usaually absorbed from the small intestines. Only 10% of drug is absorbed remaining excreted unaltered in bowel. Hence, this drug acts locally in the intestine of patient with inflammatory bowel disease. Ref: Paul Beringer (2006), Chapter 90, "Antiinfectives", In the book, "Remington: The Science and Practice of Pharmacy", Lippincott Williams and Wilkins, USA, Page 1631 ; KD Tripathi, 5th Edition, Pages 186, 643 ; Katzung 9th Edition, Page 591